According to WHO the major sign of AIDS children in stage I is the following
1. Generalised lymphadenopathy
2. Not gaining weight
3. Oral candidiasis
4. All of the above

Correct answer: 1. Generalised lymphadenopathy

Explanation: According to WHO clinical staging of AIDS in children with confirmed infection, the symptoms of clinical stage 1 are patients may be asymptomatic they have persistent generalised lymphadenopathy. Reference : Ghai essential pediatrics, eighth edition, pg no:226